True about left sided colon carcinoma -
1. Anemia
2. Obstruction
3. Melena
4. Feculant vomiting

Correct answer: 2. Obstruction